Least reabsorption out of
1. Glucose
2. Urea
3. Na+
4. HCO3

Correct answer: 2. Urea

Explanation: Reabsorption the flow of glomerular filtrate from the proximal tubule of the nephron into the peritubular capillaries, which allows the selective passage of certain substances (glucose, proteins, sodium) back into the circulation. Urea is least reabsorbed as it is excreted out. Ref: Ganong's review of medical physiology; 24th edition